Which of the following viral markers signifies the ongoing viral replication in the case of Hepatitis-B infection?
1. Anti-HBs
2. Anti-HBc
3. HBe Ag
4. HBs Ag

Correct answer: 3. HBe Ag

Explanation: HBeAg appearance- high levels of virus replication and reflects the presence of circulating intact virions and detectable HBV DNA. Patients with precore mutations cannot synthesize HBeAg In self-limited HBV infections, HBeAg becomes undetectable shortly after peak elevations in aminotransferase activity, before the disappearance of HBsAg, and anti-HBe then becomes detectable, coinciding with a period of relatively lower infectivity.